In a 7 months old child diagnosed with H influenza meningitis, which of the following investigation should be done on follow up:
1. BERA
2. CECT Scan
3. MRI
4. X ray skull

Correct answer: 1. BERA

Explanation: Ans. A. BERASensorineural hearing loss (SNHL) is the most common neuropsychological sequel of ABM.It occurs in as many as 30% of patients with pneumococcal meningitis, 10% with meningococcal meningitis and 5-20% with Haemophilus influenza type 'b' meningitis.The effect of SNHL on language is well-recognized and therefore early detection is mandatory. However, hearing assessment is difficult in infants and young children. Brainstem evoked response audiometry (BERA) can help to assess hearing in this population.